Disease, does not recur in the kidney after renal transplant is :
1. Alport syndrome
2. Amyloidosis
3. Good Pasteur's syndrome
4. Diabetic nephropathy

Correct answer: 1. Alport syndrome

Explanation: Answer is A (Alport's syndrome): Alport is syndrome has not been mentioned to recur in kidney after a renal tansplant.